Erythematous ringworm like lesions parallel to the ribs, with hanging curtain sign and Christmas trees pattern is suggestive of:
1. Psoriasis
2. Pityriasis Rosea
3. Pityriasis rubra pilaris
4. Lichen planus

Correct answer: 2. Pityriasis Rosea

Explanation: - Common in females- 1st patch called herald patch or mother patch develops.- Fir tree or Christmas tree appearance.- Scaling is present over periphery- Collarette of scale /cigarette paper like scale.- Free edges roll along the side- Hanging curtain sign.